A lady with 12 weeks of pregnancy having fasting blood glucose 170 mg/dL, the antidiabetic drug of choice is:
1. Insulin
2. Metformin
3. Glipizide
4. Glibenclamide

Correct answer: 1. Insulin

Explanation: Ans. is a, i.e. InsulinRef Dutta Obs. 7/e, p 285Fasting blood glucose 170 mg/dl, in a pregnant female indicates diabetes In such cases insulin, glyburide or metformin should be started.